Shelf life of blood in a blood bank in CPDA buffer:
1. 21 days
2. 30 days
3. 35 days
4. 42 days

Correct answer: 3. 35 days

Explanation: CPDA is Citrate-Phosphate-Dextrose buffer supplemented with adenine. The shelf life of RBC concentrates in CPDA is 35 days. In CPD buffer life span is 28 days.